First change of improvement noted after iron therapy is initiated
1. Decreased irritability
2. Reticulcytosis
3. Increase in serum iron levels
4. Replenishment of iron stores

Correct answer: 1. Decreased irritability

Explanation: First change of improvement noted after iron therapy is decreased irritability followed by increased reticulocyte count. Reference: GHAI Essential pediatrics, 8th edition